Preservative used for blood:
1. Sodium fluoride
2. Thymol
3. Potassium oxalate
4. No preservative is needed

Correct answer: 1. Sodium fluoride

Explanation: Ans. Sodium fluoride